Strawberry tongue is seen in:
1. Wegener granulomatosis
2. Kawasaki disease
3. Phenytoin toxicity
4. Polyarteritis nodosa

Correct answer: 2. Kawasaki disease

Explanation: Ref: Nelson "v Textbook of Pediatrics 18th edition: page no. 1799Explanation:Strawberry tongue is seen in Kawasaki diseaseClinical Criteria for diagnosis of Ka wasaki Disease: Fever persisting at least 5 days AND Presence of at least 4 principal features:Changes in extremitiesAcute: Erythema of palms, soles; edema of hands, feetSubacute: Periungual peeling of fingers, toes in weeks 2 and 3Polymorphous exanthemBilateral bulbar conjunctival injection without exudateChanges in lips and oral cavity: Erythema, lips cracking, strawberry tongue, diffuse injection of oral and pharyngeal mucosaeCervical lymphadenopathy (>1.5 cm diameter), usually unilateral